In designing the occlusal rest seat, the floor of the rest
seat should be inclined towards the
1. Buccal surface
2. Centre of the tooth
3. Lingual surface
4. Marginal ridge

Correct answer: 2. Centre of the tooth